Which of the following does not cause hemorrhagic conjunctivitis
1. Adenovirus
2. Coxsackie-24
3. Enterovirus-70
4. Papilloma virus

Correct answer: 4. Papilloma virus

Explanation: D. i.e. Papilloma virus